Auer rods represent a
1. Leukemic cells
2. Intercytoplasmic granules
3. Eosinophils
4. azurophilic granules

Correct answer: 4. azurophilic granules

Explanation: Auer rods, distinctive needle-like azurophilic granules, are present in many cases; they are particularly numerous in AML with the t(15;17) (acute promyelocytic leukemia) Auer rods are large, crystalline cytoplasmic inclusion bodies sometimes observed in myeloid blast cells during acute myeloid leukemia, acute promyelocytic leukemia, and high-grade myelodysplastic syndromes and myeloproliferative disorders they are peroxidase positive azurophilic intracytoplasmic granules. lysosomal enzymes are sequestered into azurophilic storage granules. used later for digestion of phagocytized microorganism. ref robbins 9th ed page 613